Which of the following hormonal activity is expected immediately prior to Ovulation?
1. LH surge
2. FSH surge
3. Progestrone surge
4. Estrogen surge

Correct answer: 1. LH surge

Explanation: Ovulation occurs due to the effect of increased concentration of LH. In the pre-ovulatory phase of the menstrual cycle, the ovarian follicle will undergo a series of transformations called cumulus expansion, which is stimulated by FSH. This is followed by LH surge.